Drug of choice for Trigeminal neuralgia is :
1. Carbamazepine
2. Phenobarbitone
3. Phenytoin
4. Valproic acid

Correct answer: 1. Carbamazepine